renal papillary necrosis is caused by ?
1. alcohol
2. cocaine
3. heroin
4. morphine

Correct answer: 1. alcohol

Explanation: Etiology # Pyelonephritis # Obstruction of the urinary tract # Sickle cell hemoglobinopathies, including sickle cell trait # Tuberculosis # Cinhosis of the liver, chronic alcoholism # Analgesic abuse # Renal transplant rejection, Radiation, Renal vein thrombosis # Diabetes mellitus # Systemic vasculitis Renal papillary necrosis # Renal papillary necrosis (RPN) is characterized by coagulative necrosis of the renal medullary pyramids and papillae # Renal papillary necrosis generally affects individuals who are in the middle decades of life or older # It is more common in women than in men # 60% of the patients have DM, 30% Urinary tract obsruction, 15% have both. # Renal papillary necrosis is primarily a bilateral process ref : harrisons 21st ed